Schizophrenia is characterized by -
1. Formed through disorder
2. Hallucination
3. Delusion
4. All

Correct answer: 4. All

Explanation: This one is different from both the previous one. Here the examiner has not asked about the characteristic feature of schizophrenia. Schizophrenia is characterized by all symptoms which have been explained earlier. So,
Schizophrenia is a disorder of → thought, perception, mood & volition.
Hallmark of schizophrenia→ Thought disorders.
Characteristic features of schizophrenia → Delusions, hallucinations, disorganized speech and behavior, negative symptoms.
Schizophrenia is characterized by → All previously explained symptoms.